The current mode of analgesia best for intrapartum pain relief is
1. Epidural analgesia
2. Spinal anaesthesia
3. Inhalational
4. Local analgesia

Correct answer: 1. Epidural analgesia

Explanation: Bupivacaine as the most commonly used local anesthetic for epidural anesthesia during labor and for postoperative pain management. Given at level of L2-L5Basics of anesthesia 7e pg: 280